Best skin disinfectant for central line insertion -
1. Povidone iodine
2. Alcohol
3. Chlorhexidine
4. Cetrimide

Correct answer: 3. Chlorhexidine

Explanation: Ans. is 'c' i.e., Chlorhexidine o "Chlorhexidine is now the disinfectant recommended for all catheter placement procedures and for routine site cleansing during dressing changes."- Comprehensive Hospital Medicine: An Evidence-Based And Systems Approach By Mark V Williams, Scott A. Flanders, p320o "Use of antiseptic solution for skin disinfection at the catheter insertion site helps prevent catheter-related infection. Chlorhexidine-based solutions appear to be superior to both aqueous and alcohol-based povidone- iodine in reducing the risk for catheter colonization and catheter-related bloodstream infection. If there is a contraindication to chlorhexidine, tincture of iodine, an iodophor or 70 percent alcohol can be used as alternatives "-uptodate.com